Which of the following arteries gives arterial supply to ACL?
1. Fibular head artery
2. Descending genicular artery
3. Superior genicular artery
4. Middle genicular artery

Correct answer: 4. Middle genicular artery

Explanation: D i.e., Middle genicular artery - Middle genicular artery arises from popliteal artery near the posterior centre of knee joint and pierces oblique popliteal ligament to reach interior of knee joint, where it supplies cruciate ligaments (anterior & posterior) and synovial membrane.Middle genicular nerve a branch of tibial nerve innervate cruciate ligaments.